Massive colonic bleeding in a patient of diverticulosis is from
1. Inferior mesentric artery
2. superior mysentric artery
3. coeliac artery
4. Gastro duodenal artery

Correct answer: 2. superior mysentric artery

Explanation: Although diverticulosis involves mainly the left side of colon, bleeding occurs mostly from right side of colon. Right side is supplied by superior mesentric artery.
"Hemorrhage from a colonic diverticula is the most common cause of hematochezia in patients over the age of 60." - Harrison 16/e, p 1796